The beta haemolytic streptococcus commonly implicated in neonatal meningitis is
1. Group A
2. Group B
3. Group C
4. Group D

Correct answer: 2. Group B

Explanation: (B) Group B